Reducing the size of X-ray beam is achieved by
1. Filtration
2. Photo electric effect
3. Collimation
4. Bezold-brucke effect

Correct answer: 3. Collimation